A young female presents with diminished pulses in the upper limb and hypertension. The most likely diagnosis is:
1. Takayasu Arteritis
2. Coarctation of Aorta
3. Giant Cell Arteritis
4. Polyarteritis Nodosa

Correct answer: 1. Takayasu Arteritis

Explanation: Answer is A (Takayasu Arteritis): Diminished pulses in upper extremities and hypertension in a young female suggests a diagnosis of Takayasu arteritis. Coarctation is associated with diminished pulses in the lower extremities and Hypertension. Takayasu arteritis is typically prevalent in adolescent girls and young women (Obstruction at the level of proximal branches of the aortic arch (Subclavian and Common Carotids) leads to diminished pulses in the upper extremity (Reversed Coarctation). Hypertension is a major complication of the disease and most commonly arises from renal artery stenosis. Since upper limb pulses are typically difficult to feel it may be dcult to record the blood pressure and hypertension may be easily missed. High blood pressure may be recorded in the lower limbs. 1990 criteria of American College of Rheumatology for the classification of Takayasu arteritis Criteria Definition Age at disease onset in year Development of symptoms or findings related to Takayasu arteritis at age Claudication of extremities Development and worsening of fatigue and discomfort in muscles of one or more extremity while in use, especially the upper extremities. Decreased brachial artery pulse Decreased pulsation of one or both brachial arteries BP difference >10mmHg Difference of >10mmHg in systolic blood pressure between arms Bruit over subclavian arteries or aorta Bruit audible on auscultation over one or both subclavian arteries or abdominal aorta Arteriogram abnormality Arteriographic narrowing or occlusion of the entire aorta, its primary branches, or large arteries in the proximal upper or lower extremities, not due arteriosclerosis, fibro-muscular dysplasia, or similar causes: changes usually focal or segmental Takayasu arteritis is diagnosed if at least three of six criteria are present.